Childhood-obesity prevention is an example of which of the following types of prevention?
1. Primordial
2. Primary
3. Secondary
4. Tertiary

Correct answer: 1. Primordial

Explanation: Ref: Park's Textbook of Preventive and Social Medicine, 22nd edition, Pages 39, 40 Explanation: Preventing childhood obesity becomes primordial prevention for most of the non-communicable diseases. This is because the risk factor for other diseases is prevented, which means primordial prevention. Level of prevention Phase of disease Interventions Examples Primordial Prevention of risk factors Health education * School health education Health promotion * Lite style modification * Stop smoking * Stop alcoholism Primary Prevention of disease * Chemoprophylaxis * Condom usage * Wearing helmet * Seat belt Specific protection Secondary Prevention of spread of disease and complications Early diagnosis and prompt treatment * Screening lor any disease * Two weeks cough with sputum in ease of tuberculosis * Any fever case treated as malaria * MCR slipper in diabetes before complication Tertiary Limiting the occurred complication and rehabilitation Disability limitation * Appropriate tool cure in diabetes and leprosy Rehabilitation * Artificial limbafter road traffic accidents